Metoclopramide
1. Inhibit cholinergic smooth muscle stimulation in the gastrointestinal tract
2. Decrease lower esophageal sphincter pressure
3. Stimulate D2 receptor
4. No significant action on colonic motility

Correct answer: 4. No significant action on colonic motility

Explanation: metoclopramide incerase peristalsis ,no significant action on colonic motility ESSENTIALS OF MEDICAL PHARMACOLOGY SEVENTH EDITION KD TRIPARHI PG NO.664